Culture media for pertussis is -
1. L-J medium
2. Chocolate media
3. Wilson blair medium
4. Bordet - Gengou medium

Correct answer: 4. Bordet - Gengou medium